Myelin sheath is absent in:-
1. Pre-axon
2. Axons of CNS
3. Optic nerve.
4. Motor roots.

Correct answer: 1. Pre-axon

Explanation: Myelin sheath is absent at following sites:- 1) Nodes of Ranvier 2) Proximal part of Axon (Pre axon) 3) Near the termination of Axon. 4) At the clefts of Schmidt- Lantermann.